Inotuzumab acts against :
1. CD11
2. CD19
3. CD22
4. CD25

Correct answer: 3. CD22

Explanation: Inotuzumab is a monoclonal antibody against CD22 used against B-cell Precursor all.